Keloid scars is made up of-
1. Dense collagen
2. Loose fibrous tissue
3. Granulamatous tissue
4. Loose areolar tissue

Correct answer: 1. Dense collagen

Explanation: Ans. is 'a' i.e., Dense Collagen